Ifosfamide belongs to which Group of anticancer drugs
1. Alkylating agent
2. Antimebolites
3. Mitotic inhibitors
4. Topoisomerase inhibitors

Correct answer: 1. Alkylating agent

Explanation: Refer principles of Pharmacology 1st /869 KDT 6/e p 819 Ifosfamide is an alkyatingg agent